Which of the following among axillary lymphnodes, is a terminal group of lymph nodes
1. Pectoral
2. Central
3. Lateral
4. Apical

Correct answer: 4. Apical

Explanation: Level III axillary lymph nodes are part of Apical axilla. They include the nodes which lies medial to medial margin of pectoralis minor, namely, subclavicular, infraclavicular or apical. The apical lymph nodes drain lymph from anterior, posterior, central and lateral group of axillary lymph nodes. So they are the terminal group of axillary lymph nodes.